Which moiety of haemoglobin molecule binds 2,3 BPG at pH 7.0?
1. Amino terminal
2. Carboxyl terminal
3. Sulfhydryl terminal
4. Alcoholic terminal

Correct answer: 1. Amino terminal

Explanation: The hemoglobin tetramer binds one molecule of BPG in the central cavity formed by its four subunits. However, the space between the H helices of the chains lining the cavity is sufficiently wide to accommodate BPG only when hemoglobin is in the T state. BPG forms salt bridges with the terminal amino groups of both chains Val NA1 and with Lys EF6 and His H21. BPG therefore stabilizes deoxygenated (T-state) hemoglobin by forming additional salt bridges that must be broken prior to conversion to the R state. Residue H21 of the subunit of HbF is Ser rather than His. Since Ser cannot form a salt bridge, BPG binds more weakly to HbF than to HbA. The lower stabilization afforded to the T state by BPG accounts for HbF having a higher affinity for O2 than HbA. Ref: Kennelly P.J., Rodwell V.W. (2011). Chapter 6. Proteins: Myoglobin & Hemoglobin. In D.A. Bender, K.M. Botham, P.A. Weil, P.J. Kennelly, R.K. Murray, V.W. Rodwell (Eds), Harper's Illustrated Biochemistry, 29e.